All of the following are examples of primary colours, EXCEPT:
1. Red
2. Green
3. Blue
4. None of the above

Correct answer: 4. None of the above

Explanation: The sensation of white, any spectral color, and even the extraspectral color, purple, can be produced by mixing various proportions of red light (wavelength 723-647 nm), green light (575-492 nm), and blue light (492-450 nm). which are therefore called the primary colors. Ref: Ganong's Review of Medical Physiology 23rd edition, Chapter 12.